Pseudoesotropia is associated with
1. Hypertelorism
2. Negative angle kappa
3. Positive angle kappa
4. None of the above

Correct answer: 2. Negative angle kappa

Explanation: PSEUDOSTRABISMUS In pseudostrabismus (apparent squint), the visual axes are in fact parallel, but the eyes seem to have a squint: 1. Pseudoesotropia or apparent convergent squint : It may be associated with a prominent epicanthal fold (which covers the normally visible nasal aspect of the globe and gives a false impression of esotropia) and negative angle kappa. 2. Pseudoexotropia or apparent divergent squint : It may be associated with hypertelorism, a condition of wide separation of the two eyes, and positive angle kappa. Ref:- A K KHURANA; pg num:-321